Digestion in intestinal mucosa is inhibited by -
1. V cholera
2. G lamblia
3. Enterokinase
4. S haematobium

Correct answer: 2. G lamblia

Explanation: G. lamblia is seen typically within the crypts in the duodenum. It does not invade tissues lead to mucus diarrhoea, dull epigastric pain and flatulence. The diarrhoea in some cases may be steatorrhoeic with excess mucus and fat, but no blood. The incubation period is variable, but is usually about 2 weeks. Enhanced susceptibility to giardiasis is associated with blood group A, achlorhydria, use of cannabis, chronic pancreatitis, malnutrition and immune defects such as 19A deficiency and hypogammaglobulinaemia. HIV infection has not apparently been associated with increased risk of giardiasis. TEXTBOOK OF MEDICAL PARASITOLOGY,CKJ PANIKER,6TH EDITION,PAGE NO 39